The following are true regarding Lyme's Disease, except:-
1. lt is transmitted by ixodid tick.
2. Erythema chronicum migrans may be a clinical feature
3. Borrelia recurrentis is the aetiological agent
4. Rodents act as natural hosts

Correct answer: 3. Borrelia recurrentis is the aetiological agent

Explanation: Option 1, 2, 4 Lyme's disease Causative agent = B. burgdorferi Transmitted by bite of Ixodid ticks /Hard tick Replicates locally & invades locally Centre - periphery Erythema Chronicum migrans Annular rash / bull's eye. Associated with ch. arthritis Option 3 B. recurrentis: causes Relapsing fever Reason for relapse is antigenic variation, shown by its causative agent B. recurrentis.